All are associated with Corrigan's pulse except?
1. Duroziez sign
2. Early diastolic murmur
3. Decreased LV end-diastolic pressure
4. Pulsus bisferiens

Correct answer: 3. Decreased LV end-diastolic pressure

Explanation: Corrigan pulse is seen in Aortic Regurgitation. Aortic regurgitation -Early diastolic murmur Severe Aortic regurgitation -Mid diastolic murmur. Due to rapid run off from the aorta back into left ventricle the LV pressure keeps on rising-Increased LV end diastolic Pressure. Pulsus bisferiens: HOCM Aortic regurgitation Aortic stenosis with aortic regurgitation